Oxygen dissociation curve shifts to left in all except:
1. Alkalosis
2. Hypercapnia
3. Fetal Hb
4. CO poisoning

Correct answer: 2. Hypercapnia

Explanation: When the O2 affinity for Hb is increased, the dissociation curve shifts to the left. O2 has less affinity for Hb which is in "T-state". When Hb is snapped into "R-state", O2 affinity for it increases. Increased affinity of O2 for Hb/shift to the left Decreased H+/alkalosis Decreased PCO2 Decreased temperature Decreased 2,3-DPG HbF CO poisoning Stored blood (2,3-DPG decreases) NO & H2S (bind to Hb; snap it into "R-state")